HIV associated nephropathy is a type of -
1. Membranous glomerulonephritis
2. Immunotaetoid glomerulopathy
3. Collapsing glomerulopathy
4. Fibrillary glomerulopathy

Correct answer: 3. Collapsing glomerulopathy